Paris green kills
1. Anopheles larva only
2. Culex larva only
3. Anopheles adult mosquito
4. Culex adult mosquito

Correct answer: 1. Anopheles larva only

Explanation: Paris green Paris green or copper aceto-arsenite is an emerald green microcrystalline powder, practically insoluble in water but soluble in ammonia and concentrated acids. A good sample of paris green contains over 50 per cent of arsenious oxide. Paris green is a stomach poison. Till the advent of DDT, paris green was extensively used in the control of anopheline larvae, by spraying as a 2 per cent dust over breeding places once a week. The use of paris green was largely responsible for the eradication of A gambiae from Brazil in 1940, and the near-eradication of the same species in Egypt in 1944. Ref: Park 25th edition Pgno :821